Central lymphoid organs are:
1. Bone marrow
2. Lymph node
3. Spleen
4. All

Correct answer: 1. Bone marrow

Explanation: A i.e. Bone marrow